Arborescent burn is seen in
1. Lightening
2. Scald
3. Electrocution
4. Soda burn

Correct answer: 1. Lightening

Explanation: A i.e. Lightening